Exclamation mark alopecia is a feature of:
1. Telogen effluvium
2. Androgenic alopecia
3. Alopecia aerata
4. Alopecia mucinosa

Correct answer: 3. Alopecia aerata

Explanation: C i.e. Alopecia aerate